Specific for CSF in rhinorrhea:
1. b-2 microglobulin
2. Albumin
3. Macroglobulin
4. b-2 transferrin

Correct answer: 4. b-2 transferrin

Explanation: Ans. b-2 transferrin